Where does gonococci initially infect -
1. Vagina
2. Cervix
3. Uterus
4. Fallopian tubes

Correct answer: 2. Cervix